At which joint does inversion of foot occur:
1. Talocrural
2. Talocalcaneal
3. Calcaneocuboid
4. Cuneonavicular

Correct answer: 2. Talocalcaneal

Explanation: Talocalcaneal